Which of the following play the most important role in pathogenesis of Rheumatoid Arthritis
1. CD4+ T cells
2. CD8+ T cells
3. B cells
4. Granulocytes

Correct answer: 1. CD4+ T cells

Explanation: CD4+ T cells plays the most important role in orchestrating the chronic inflammatory response in Rheumatoid Arthritis. CD4+ T cells are the major component of the inflammatory infiltrate in the rheumatoid synovium. Chronic inflammatory response in Rheumatoid Arthritis T cells (CD4) are the major component of the inflammatory infiltrate in the rheumatoid synovium. The T cells compromise 30-50% of the infiltrate, with the other cells accounting for the remainder. Evidence suggests that CD4+ T cells play an important role in orchestrating the chronic inflammatory response in RA. However, other cell types, such as CD8+ T cells, natural killer (NK) cells, and B cells are present in synovial tissue and may also influence pathogenic responses The inflammatory infiltrate is made up of no less than six cell types: T cells (Most abundant) B cells Plasma cells Dendritic cells Mast cells and Granulocytes (to a lesser extent) Ref: Harrison's 19th edition Pgno: 2140